Given Condition is due to a defect in the normal keratinization of the oral mucosa:
1. White sponge Nevus.
2. Erythema multiformae.
3. Incontinentia pigmenti.
4. Systemic sclerosis.

Correct answer: 1. White sponge Nevus.